Heparin acts as an anticoagulant by:-
1. Activating antithrombin III
2. Inactivating antithrombin III
3. Activating thrombin
4. Activating factor Xa

Correct answer: 1. Activating antithrombin III

Explanation: Heparin acts an anticoagulant by activating antithrombin III and thus inactivating thrombin and factor Xa. Heparin displaces lipoprotein lipase enzyme from the endothelial wall. Other glycosaminoglycans uses are: Danaparoid is an anticoagulant.